Interceptive and preventive orthodontics cannot be carried out after eruption of:
1. Second premolars
2. First molars
3. Second molars
4. Third molars

Correct answer: 3. Second molars